Which of the following is not true of the following test:
1. Induction of nystagmus by thermal stimulation
2. Normally cold water induces nystagmus to opposite side and warm water to same side
3. In canal paresis there is no nystagmus
4. Stimulates posterior semicircular canal

Correct answer: 4. Stimulates posterior semicircular canal

Explanation: (d) Stimulates Posterior Semicircular Canal(Ref. Scott Brown, 8th ed., Vol 2; page 796)It stimulates horizontal/lateral semicircular canal